All of the following are CNS stimulants except-
1. Amphetamines
2. Benzodiazepines
3. Cocaine
4. Methylphenidate

Correct answer: 2. Benzodiazepines

Explanation: Ans. is 'b' i.e., Benzodiazepines o CNS stimulants are amphetamine, methylphenidate, atomoxetine, modafinil, cocaine, pemoline and caffeine.